Megaloblastic anaemia is caused by all EXCEPT :
1. Aspirin
2. Primidone
3. Methotrexate
4. N2O

Correct answer: 1. Aspirin